TRUE about Vein of Labbe:
1. Drains into Superior Sagittal Sinus
2. Drains into Transverse Sinus
3. Anastomotic channel for Superior Cerebral Veins
4. Superior anastomotic channel for Superficial Middle Cerebral Vein

Correct answer: 2. Drains into Transverse Sinus

Explanation: Superficial Middle Cerebral Vein communicates with the transverse sinus inferior anastomotic vein of Labbe. The Vein of Labbe is inferior (not superior) anastomotic vein, which crosses and anastomoses at its two ends with the Middle Cerebral Vein and the transverse sinus (not superior sagittal sinus). It drains its adjacent cortical regions gathering tributaries from minor veins of the temporal lobe (not superior cerebral veins).